Drug used for the chemoprophylaxis of leptospirosis is -
1. Doxycycline
2. Ampicillin
3. Amoxicillin
4. Cefotaxime

Correct answer: 1. Doxycycline

Explanation: Ans. is 'a' i.e., Doxycycline Prevention or leprospirosis* No vaccine is available for human leptospirosis.* Preventive strategies, including chemoprophylaxis with doxycycline, have been variably effective in different settings.* Antibiotic chemoprophylaxis with Doxycycline 200 mg per oral once a week, can be considered for anticipated short-term, well-defined exposures, such as those incurred during military training or specific adventure travel (with, for example, fresh-water swimming).* Long-term antibiotic prophylaxis has not been shown to be effective in preventing infection in high-transmission endemic settings. General sanitation approaches (e.g., rodent control) and avoidance of swimming in potentially contaminated places (e.g., for recreational use) are recommended, but these measures are difficult to apply consistently.Treatment and Chemoprophylaxix of Leptospirosis in AdultsIndicationRegimenTreatmentMild leptospirosisDoxycycline (100mg PO bid) orAmoxicillin (500mg PO tid) orAmpicillin (500mg PO tid)Moderate/severe leptospitosisPenicillin (1.5 million units IV or IM q6h) orCettriaxone (1 g/d IV) orCetotaxime (Ig IV q6h)Chemoprophylaxis Doxycycline (200mg PO once a week) or Azithromycin(250 mgPO once or twice a week)All regimens are given for 7 days.